Combined AIHA and ITP is known as ?
1. Evans syndrome
2. May-Hegglin anomaly
3. Fechtner syndrome
4. Rosenthal syndrome

Correct answer: 1. Evans syndrome

Explanation: Evans syndrome - Rare combination of two or more of the following autoimmune blood disorders: Autoimmune hemolytic anemia (AIHA), in which the immune system destroys red blood cells. Immune thrombocytopenia (ITP), in which the immune system attacks platelets. Autoimmune neutropenia (AIN), which causes the immune system to attack neutrophils. Rosenthal syndrome / Haemophilia C / Plasma thromboplastin antecedent (PTA) deficiency - A mild form of haemophilia affecting both sexes, due to factor XI deficiency. May Hegglin anomaly (MHA) -A rare autosomal dominant disorder characterized by variable thrombocytopenia and well defined basophilic cytoplasmic inclusion bodies (resembling Dohle bodies) in the granulocytes Fechtner syndrome - A rare autosomal dominant disorder , a variant of Alport syndrome characterized by leukocyte inclusions, macro-thrombocytopenia, nephritis, and sensorineural hearing loss